All of the following lie between the 1st rib and the apex of the lung except
1. Superior intercoastal aretry
2. Thoracic duct
3. First posterior intercostal vein
4. Sympathetic trunk

Correct answer: 2. Thoracic duct

Explanation: The thoracic duct oesnot lie between the 1st rib and the apex of the lung It arises through the supeior thoracic aperture. The structures present between the 1st rib and apex of the lung (medial to lateral) are SVAN: Sympathetic trunk Vein (posterior intercostal) Artery ( superior intercostal ) Nerve (T1 nerve) Ref: Gray's Anatomy 41st edition Pgno: 943-945